All true about accidental intra arterial injection of Thiopentone except:-
1. Immediate intense vasoconstriction and excruciating pain
2. Cause is precipitations of thiopental crystals in the arterial vassals
3. To relieve pain we have to immediately remove the misplaced arterial cannula.
4. Sympathectomy of the upper extremity produced by Stellate ganglion block may relieve vasoconstriction.

Correct answer: 3. To relieve pain we have to immediately remove the misplaced arterial cannula.

Explanation: The accidental intra arterial injection of drug due to wrongly placed cannula M/N 1. Leave the cannula in situ 2. Intra arterial injection of heparin 3. Lidocaine, papaverine phenoxybenzamine injected 4. Stellate ganglion block